Neurotransmitter for pain is
1. Dopamine
2. Substance P
3. PAF
4. None

Correct answer: 2. Substance P

Explanation: Substance P a polypeptide neurotransmitter that stimulates vasodilation and contraction of intestinal and other smooth muscles. It also plays a part in salivary secretion, diuresis, natriuresis, and pain sensation. It has been isolated from certain cells of the GI and biliary tracts.Ref: Ganong's review of medical physiology 23rd edition Page no: 143